A 15-year-old boy presented with 1 day history of bleeding gums, subconjunctival bleed and purpuric rash. Investigations revealed: Hb 6.4 gm/dl; TLC-26,500/mm3; prothrombin time-20 sec with a control of 13 sec; partial thromboplastin time-50 sec; and fibrinogen 10 mg/dl. Peripheral smear was suggestive of acute myeloblastic leukemia. Which of the following is the most likely?
1. Myeloblastic leukemia without maturation
2. Myeloblastic leukemia with maturation
3. Promyelocytic leukemia
4. Myelomonocytic leukemia

Correct answer: 3. Promyelocytic leukemia

Explanation: - This patient has complaints of bleeding along with thrombocytopenia, decreased fibrinogen & increased PT & APTT. - These features are consistent with DIC. - DIC is most commonly associated with M3 subtype of AML= APML